Best contraceptive for newly married couples?
1. IUCD
2. Hormonal pills
3. Rythem method
4. Condom

Correct answer: 2. Hormonal pills

Explanation: Ans. is 'b' i.e., Hormonal pills